Therapeutic drug monitoring is done for all of the following drugs Except
1. Phenytoin
2. diclofenac
3. Tacrolimus
4. Cyclosporine

Correct answer: 2. diclofenac

Explanation: TDM is not done for most commonly used drugs or safe drugs like paracetamol, diclofenac done for antiepileptic drugs, immunosuppressants, anticancer drugs, lithium Phenytoin- antiepileptic, cyclosporin, tacrolimus- immunosuppressants in the options not done for antihypertensives and BP can be measured clinically and easily REF KD Tripathi 8th ed